The most abundant extracellular cation is?
1. Chloride
2. Sodium
3. Calcium
4. Potassium

Correct answer: 2. Sodium

Explanation: Potassium is the most abundant cation in intracellular fluid.
Phosphate is the most abundant intracellular anion.
Sodium is the most abundant extracellular cation.
Chloride is the most abundant extracellular anion.